All are associated with paraneoplastic syndromes except -
1. Cerebeller degeneration
2. Progressive multifocal leucoencephalopathy
3. Amyotropic lateral sclerosis
4. Opsoclonus myoclonus

Correct answer: 2. Progressive multifocal leucoencephalopathy